Which is true about arboviral disease?
1. Yellow fever is endemic in India
2. Dengue viruses have only one serotype
3. KFD is transmitted by ticks
4. Japanese encephalitis is transmitted by Aedes

Correct answer: 3. KFD is transmitted by ticks

Explanation: Ans. (c) KFD is transmitted by ticks Yellow fever is an exotic disease for India, i.e. disease which may be imported in India or India is yellow fever 'receptive' area that is "an area in which yellow fever does not exist but where condition would permit its development if introduced". Dengue virus has at least 4 serotypes (not one). Japanese encephalitis is transmitted by culex (not Aedes).